On one side kidney is normal, while other side kidney is contracted with scar, what is the most probable diagnosis?
1. Chronic pyelonephritis
2. Polycystic kidney
3. Renal artery stenosis
4. Tuberculosis of kidney

Correct answer: 1. Chronic pyelonephritis